Which among the following organs is the first organ to start putrefaction?
1. Heart
2. Brain
3. Larynx
4. Prostate

Correct answer: 3. Larynx

Explanation: Larynx and trachea are the earliest organs for putrefaction.